Treatment of carcinoma cervix stage IIIB include:
1. Chemoradiation
2. Surgery ( Radical Hysterectomy )
3. Neoadjuvant chemotherapy followed by radiotherapy
4. Only radiotherapy

Correct answer: 1. Chemoradiation

Explanation: Stage IIA-2 to IVA Current evidence indicates that "concurrent chemotherapy" significantly improves overall and disease free survival of women with advanced cervical cancer. Thus most patients with stage IIB to IVA are best treated with "chemoradiation". Cisplatin containing regimens are associated with best survival rates.